All of the following components are measure in PQLI except:-
1. Life expectancy at 1 year of age
2. Infant mortality rate
3. Income (real GDP per capita)
4. Literacy rate

Correct answer: 3. Income (real GDP per capita)

Explanation: PQLI HDI Components Literacy Rate Infant Mortality Rate Life Expectancy at 1 year of age Literacy rate /Knowledge /Mean year of schooling Income Life Expectancy at Birth Range 0 to 100 0 to +1 Value of India 65 0.647 ; medium development